Which of the following disease is called as pseudo bubo
1. Donavanosis
2. LGV
3. Chancroid
4. Plague

Correct answer: 1. Donavanosis

Explanation: Donovanosis is also called pseudo bubo as it begins as painless papule on the genitalia and resembles bubo.it is caused by klebsiella granulomatis also called granuloma inguinale Ref:anantnarayan and paniker's microbiology 10th edition